Holder method of Pasteurization does not kill -
1. Mycobacteria
2. Brucella
3. Salmonella
4. Coxiella burnetii

Correct answer: 4. Coxiella burnetii

Explanation: Ans. is 'd' i.e., Coxiella burnetii * Pasteurization is done by heating at 60degC for 30 minutes (holder method) and then cooling. This method kills vegetative cells but does not kill spores.* It eliminates pathogenic bacteria like Mycobacterium, Brucella, Salmonella, and Staphylococcus from milk and milk products.* This method might not be that effective for certain heat-resistant bacteria like Coxiella burnetii, but they might be killed if the temperature is slightly increased to 72degC for 20 minutes and then decreased quickly (flash method) or using ultra high temperature, which involves the application of a temperature of 140degC for 15 seconds.* A quality control check is carried out by performing methylene blue test and phosphate test for checking the quality of the product.